Methicillin resistant Staphylococcus aureus is not expected to respond to -
1. Aminoglycoside
2. Lincosamide
3. Oxazolidinone
4. Carbapenem

Correct answer: 4. Carbapenem

Explanation: Ans. is 'd' i.e., Carbapenem o MRSA do not respond to any beta lactam antibiotic (penicillins, cephalosporins, carbapenems and monobactams) because it has altered penicillin binding sites.